Which of the following is seen in heat stroke -
1. Subnormal temperature
2. Normal mental function
3. Failure of heat regulation
4. Normal body temperature

Correct answer: 3. Failure of heat regulation

Explanation: Heat stroke is an effect of heat stress.It is attributed to heat regulting mechanism.It is chracterised by very high body temparature which may rise to 110 degree F and profound disturbances like delirium,convulsions,and partial and complete loss of conciousness.Skin is dry and hot.Sweating is absent or diminished.Outcome is often fatal. Other effects of heat stress are heat hyperpyrexia,heat exhuation,heat cramps,heat syncope. Parks textbook of preventive and social medicine.K Park. Edition 23.Pg no: 747